The admistration of succinylcholine to a paraplegic patient led to appearance of dysarrythimas, conduction abnormalities band finally cardiac arrest. The most likely cause is
1. Hypercalcemia
2. Hyperkalemia
3. Anaphylaxis
4. Hypermagnesmia

Correct answer: 2. Hyperkalemia

Explanation: Refer Katzung 11/e p460 Succinylcholine can cause Hyperkalemia especially in patients with nerve and muscle disorders. Therefore it is contra indicated in patients with nerve diseases and muscle diseases